Excess Aldosterone is associated with all the following except:
1. Hypokalemia
2. Hyperkalemia
3. Hypernatremia
4. Hypertension

Correct answer: 2. Hyperkalemia

Explanation: Answer is B (Hyperkalemia): Excess Aldosterone levels are associated with Hypokalemia due to K+ depletion and not hyperkalemia.